Which is not a feature of MCA blockage?
1. Anosognosia
2. Apraxia
3. Dysarthria
4. Abulia

Correct answer: 4. Abulia

Explanation: Abulia is a feature of ACA territory stroke Features of entire MCA blockage at the origin: Acalculia, Agraphia, Finger agnosia, & Global aphasia is present due to the involvement of dominant lobe. Anosognosia, constructional apraxia, and neglect are found due to the involvement of non-dominant lobe. Contralateral hemiplegia Hemi-anesthesia Homonymous hemianopia Dysarthria due to facial weakness.